The following fractures are known for nonunion, EXCEPT:
1. Fracture lower half of tibia
2. Fracture of neck of femur
3. Fracture of scaphoid
4. Supracondylar fracture of humerus

Correct answer: 4. Supracondylar fracture of humerus

Explanation: The distal humeral metaphysis (supracondylar area) is a well vascularized area with remarkably rapid healing and nonunion of a supracondylar fracture is extremely rare. Non union is almost never seen without infection (open wounds) and/ or extensive soft tissue devascularization. Ref: Tachdjian's Pediatric Orthopedics 3/e, Page 2130-75, 2060; Rockwood and Green's Fracture in Children 6/e, Page 543-86.